A young female patient with long history of sinusitis presented with frequent fever along with personality changes and headache of recent origin. The fundus examination revealed papilledema. The most likely diagnosis is -
1. Frontal lobe abscess
2. Meningitis
3. Encephalitis
4. Frontal bone osteomyelitis

Correct answer: 1. Frontal lobe abscess